Which of the drug potentiates neuromuscular blockade
1. Propranolol
2. Amlodipine
3. Metformin
4. Penicillin

Correct answer: 2. Amlodipine

Explanation: Calcium channel blocker potentiates neuromuscular blockade.